Acculturation is?
1. Traige
2. Cultural changes due to socialization
3. Attitude
4. Belief

Correct answer: 2. Cultural changes due to socialization

Explanation: ANSWER: (B) cultural changes due to socialisationREF: Park 20th ed p. 585Acculturation explains the process of cultural and psychological change that results following meeting between cultures. The effects of acculturation can be seen at multiple levels in bothinteracting cultures.